Temporary hardness of water is primarily due to the presence of:
1. Calcium and magnesium sulphates
2. Calcium and magnesium chlorides
3. Calcium and magnesium bicarbonates
4. Calcium and magnesium nitrates

Correct answer: 3. Calcium and magnesium bicarbonates

Explanation: HARDNESS OF WATER Hardness of water is defined as the 'soap destroying power of water' Hardness of water is of two types Types of hardness Underlying causes Temporary hardness (carbonate hardness) Calcium & magnesium salts of bicarbonates Permanent hardness (non - carbonate hardness) Calcium & magnesium salts of sulfates/ chlorides/ nitrates Hardness of water is expressed in terms of milliequalents per litre (meq/L) of calcium carbonate (CaCO3) 1 meq/L hardness = 50 mg CaCo3 (50 ppm) per litre of water Softening of drinking water is done if hardness is > 150 mg/L